Cause of congestive splenomegaly is
1. Visceral Leishmaniasis
2. Budd Chiari Syndrome
3. Gaucher's Disease
4. Hodgkin's Lymphoma

Correct answer: 2. Budd Chiari Syndrome

Explanation: Answer- B. Budd Chiari SyndromeCauses of congestive splenomegalyBudd Chiari SyndromeHepatic vein obstructionPoal vein obstruction